Modes of disease transmission by vectors are all except?
1. Regurgitation
2. Biting
3. Ingestion
4. Rubbing of of infected excrement

Correct answer: 3. Ingestion

Explanation: Modes of disease transmission by vectors are: Biting Regurgitation of ingested material Rubbing of of infected excrement Contamination by body fluids of the vector Ref : Park's Textbook of Preventive medicine